Tuberculosis verrucosa cutis is a form of –
1. Tuberculid
2. Primary tuberculosis
3. Postprimary tuberculosis with good resistance
4. Post primary tuberculosis with poor resistance

Correct answer: 3. Postprimary tuberculosis with good resistance

Explanation: Tuberculosis vernicosa cutis is a variant of cutaneous tuberculosis in patients with good cell mediated immunity to M. tuberculosis.